A patient comes with bleeding due to warfarin overdose, as a treating physician what is the immediate treatment to treat warfarin induced bleeding :
1. Cryoprecipitate
2. Platelet concentrate
3. Fresh frozen plasma
4. Vitamin k Injection

Correct answer: 3. Fresh frozen plasma

Explanation: Treatment of warfarin induced bleeding: Stop warfarin to stop its action. Adding four factor complex or Fresh frozen plasma is best option as it contains clotting factors that are deficient due to warfarin. Fresh frozen plasma will replenish the deficient factors. So, it can immediately reverses bleeding. Other options Cryoprecipitate mainly contains factor VIII and fibrinogen. Warfarin inhibits factor II,VII,IX,X, so cryoprecipitate will not replenish. Warfarin doesn't affect platelet function, so no use in giving platetelet concentrate.